In dermatophytosis, which antifungal drug is not indicated :
1. Fluconazole
2. Terbinafine
3. Griseofulvin
4. Amphotericin B

Correct answer: 4. Amphotericin B